Gluteus maximus is inserted on
1. Lesser trochanter
2. Greater trochanter
3. Spiral line
4. Iliotibial tract

Correct answer: 4. Iliotibial tract

Explanation: Ans. d (Iliotibial tract). (Ref. BD Chaurasia, Human Anatomy- Vol. II 3rd ed., 61)TENSOR FASCIA LATA# Tensor fascia lata lies between the gluteal region and front of the thigh.# It arises from anterior 5 cm of outer lip of iliac crest up to tubercle and from anterio superior iliac spine and notch below it. It is inserted into iliotibial tract.# It is supplied by superior gluteal nerve (L4, L5)# Ober's test is for testing its function